True about Zenker's diverticulum is all, EXCEPT:
1. Originates from the anterior wall of the esophagus
2. Occurs through triangular area of weakness
3. It tends to deviate from the midline, mostly to the left
4. None of the above

Correct answer: 1. Originates from the anterior wall of the esophagus

Explanation: Zenker diverticulum originates from the posterior wall of the esophagus in a triangular area of weakness, limited inferiorly by the cricopharyngeus muscle and superiorly by the inferior constrictor muscles (ie, the Killian triangle). As the diverticulum enlarges, it tends to deviate from the midline, mostly to the left